Energy production enzymes are located in:
1. Rough endoplasmic reticulum
2. Ribosomes
3. Golgi apparatus
4. Mitochondria

Correct answer: 4. Mitochondria

Explanation: Ans. (d) Mitochondria(Ref: Ganong, 25th ed/p.36)Mitochondria is involved in the synthesis of energy-rich compound ATP by oxidative phosphorylationAlso called as "powerhouse of the cell"